Which is not seen in Tumor lysis Syndrome?
1. Hypophosphatemia
2. Hypocalcemia
3. Hyperuricemia
4. Hyperkalemia

Correct answer: 1. Hypophosphatemia

Explanation: Ref: Harrison 20th edition, P 519* Hyperphosphatemia can be caused by the release of intracellular phosphate pools by lysis of tumour cells.* It produces a reciprocal depression in serum calcium, which causes severe neuromuscular irritability and tetany.* Deposition of calcium phosphate in the kidney and hyperphosphatemia may cause renal failure. Potassium is the principal intracellular cation, and massive destruction of malignant cells may lead to hyperkalemia.* The break-down of DNA from nucleus will produce urate crystals that will block kidney tubules and lead to urate nephropathy.